Stage of analgesia in anaesthesia is ?
1. Stage-1
2. Stage-2
3. Stage-3
4. Stage-4

Correct answer: 1. Stage-1

Explanation: Ans. is 'a' i.e., Stage-1